Which of the following antitubercular drug is not hepatotoxic :
1. Isoniazid
2. Rifampicin
3. Ethionamide
4. Streptomycin

Correct answer: 4. Streptomycin

Explanation: Streptomycin and ethambutol are not hepatotoxic. Read carefully, option (c) is ethionamide, not ethambutol.